The time taken for primary tooth root completion after eruption:
1. 3 years
2. 1 year
3. 2 years
4. 1 month

Correct answer: 2. 1 year